True about vagal nuclei are all except?
1. There are 4 vagal nuclei
2. They are found in the floor of 4th ventricle
3. Nucleus Ambiguous is a vagal nucleus
4. Spinal trigeminal nucleus is not a vagal nucleus

Correct answer: 4. Spinal trigeminal nucleus is not a vagal nucleus

Explanation: Ans. is'd'i.e., Spinal trigeminal nucleus is not a vagal nucleus(Ref: 'Functional and chemical anatomy of the afferent vagal system". Autonomic Neuroscience. 85 (I-3): I-17.)The vagus nerve includes axons which emerge from or converge onto four nuclei of the medulla.They are present deep in the medulla in the floor of the 4th ventricle.